Hysterosalphingography is clone during?
1. During menstruation
2. Luteal phase
3. Follicular phase
4. Secretory phase

Correct answer: 3. Follicular phase

Explanation: Follicular phase REF: Shaw's Gynecology 13th ed p.- 210 "Hysterosalphingography is performed between the end of the menstrual period and ovulation at around 10th day. This is the phase of follicular development"